Deregulation and depersonalization are seen in which type of disorder
1. Dissociative disorder
2. Personality disorders
3. Mania
4. None

Correct answer: 1. Dissociative disorder

Explanation: Multiple Personality (Dissociative Identity) Disorder In this dissociative disorder, the person is dominated by two or more personalities, of which only one is being manifest at a time. These personalities are usually different, at times even opposing. Each personality has a full range of higher mental functions and performs complex behaviour patterns. Usually, one personality is not aware of the existence of the other(s), i.e. there are amnesic barriers between the personalities. Both the onset and termination of control of the each personality is sudden. Classical examples in the published literature include 'Three Faces of Eve' and 'Sybil'. Trance and Possession Disorders Trance and possession disorders ( possession hysteria) are characterised by the control of person's personality by a 'spirit', during the episodes. Usually, the person is aware of the existence of the other (i.e. 'possessor'), unlike in multiple personalities. Ref: A Short Textbook of Psychiatry, Niraj Ahuja, 7th Edition, pg. no. 102